Definitive diagnosis of acute pancreatitis is done by-
1. Lipase
2. S. alkaline phosphatase
3. Increased Ca++
4. Hyperglycemia

Correct answer: 1. Lipase

Explanation: Ans - A. Serum lipase activity increases in parallel with amylase activity and is more specific than amylase. A serum lipase measurement can be instrumental in differentiating a pancreatic or nonpancreatic cause for hyperamylasemia.